Cervical sympathetic lesion causes all except:
1. Miosis
2. Ptosis
3. Enophthalmos
4. Increased sweating

Correct answer: 4. Increased sweating

Explanation: Ans: dRef: Harrison, 16thed, p. 2384, Fig 349.11